Which of the following is not an aromatic amino acid?
1. Phenylalanine
2. Tyrosine
3. TVyptophan
4. Valine

Correct answer: 4. Valine

Explanation: Ans: d (Valine) (Ref: Vasudevan, 4th ed, p. 321; 5th ed, p. 16,202; Harper, 23th ed, p. 28Aromatic amino acids are:Phenyl alanineTrypophanTyrosineHistidine